Which one of the following statement about culture is TRUE?
1. Agar has nutrient properties
2. Chocolate medium is selective medium
3. Addition of selective substances in a solid medium is called enrichment media
4. Nutrient broth is a basal medium

Correct answer: 4. Nutrient broth is a basal medium

Explanation: Nutrient broth is a type of simple (basal) medium. It consists of peptone, meat extract, sodium chloride and water. Chocolate medium is a type of enriched medium. Addition of selective substance to a liquid medium is called enrichment medium. Ref: Greenwood 14 th Edition, Page 39; Textbook of Microbiology, Ananthanarayan and Paniker, 7th Edition, Chapter 4, Page 37.